Spinal shock is characterized by all of the following, Except :
1. Spastic paralysis
2. Flaccid paralysis
3. Urinary Bladder involvement
4. Areflexia

Correct answer: 1. Spastic paralysis

Explanation: Answer is A (Spastic paralysis): Spinal Shock is associated with Flaccid paralysis and not Spastic paralysis Spinal shock Flaccid Paralysis (complete motor paralysis) Areflexia Sensory loss (anesthesia to all modalities) Bladder Involvement (usually areflexic bladder with urinary retention)